Most common cause of endplate destruction with reduction of Intervertebral disc space on X-ray:
1. Lymphoma
2. Tuberculosis
3. Eosinophilic granuloma
4. Metastasis

Correct answer: 2. Tuberculosis

Explanation: Ans. B. TuberculosisCauses of vertebral destruction without loss of OR maintained of IVD space:a. Lymphomab. Metastasesc. Traumad. Osteoporotic fractures